WHO defines moderate malnutrition as:
1. Weight-for-age between -3 and -2 z-scores below the median of the WHO child growth standards.
2. Weight-for-age between -1 and -2 z-scores below the median of the WHO child growth standards.
3. Weight-for-age between -3 and -4 z-scores below the median of the WHO child growth standards.
4. Weight-for-age < -3 z-scores below the median of the WHO child growth standards.

Correct answer: 1. Weight-for-age between -3 and -2 z-scores below the median of the WHO child growth standards.

Explanation: Ans. A. Weight-for-age between -3 and -2 z-scores below the median of the WHO child growth standards.Moderate malnutrition according to WHO: weight-for-age between -3 and -2 z-scores below the median of the WHO child growth standards.Severe malnutrition: weight-for-age < -3 z-scores below the median of the WHO child growth standards.